Which of the following drugs can cause galactorrhea?
1. Omeprazole
2. Metoclopramide
3. Bromocriptine
4. Ranitidine

Correct answer: 2. Metoclopramide

Explanation: Galactorrhea is caused by prolactin secretion. Dopamine normally inhibits the secretion of prolactin. Thus dopamine antagonists can cause hyperprolactinemia leading to galactorrhea. The drugs include: Typical Antipsychotics like Haloperidol Antiemetics like Metoclopramide Dopamine depleter like Reserpine. Drugs stimulating dopamine receptors like Bromocriptine and Cabergoline are used for treatment of Hyperprolactinemia.